Disadvantage of polysulphide as impression material:
1. High cost
2. Materials leaching out
3. Stretching leads to distortion
4. Difficulty in cast pouring

Correct answer: 3. Stretching leads to distortion